Which of the following is not associated with increase in prolactin ?
1. Haloperidol
2. Chlorpromazine
3. Hydroxysulpiride
4. Quetiapine

Correct answer: 4. Quetiapine